The coagulation profile in a 13 - year old girl with Menorrhagia having von Willebrands disease is -
1. Isolated prolonged PTT with a normal PT
2. Isolated prolonged PT with a normal PTT
3. Prolongation of both PT and PTT
4. Prolongation of thrombin time

Correct answer: 1. Isolated prolonged PTT with a normal PT